Not true regarding arcus senilis
1. Deposition of lipids in cornea
2. Seen in corneal periphery
3. There is clear margin between the limbus and the arcus deposition
4. It starts from superior cornea and then involves inferior cornea

Correct answer: 4. It starts from superior cornea and then involves inferior cornea

Explanation: Arcus senilis usually starts from inferior cornea and then involves superior cornea. Arcus senilis Corneal degeneration. Deposition of lipids in cornea. Seen in corneal periphery. There is clear margin between the limbus and the arcus deposition. It starts from inferior cornea and then involves superior cornea. Does not invade visual axis.